All of the following muscles are innervated by the facial nerve EXCEPT
1. Occipito-frontalis
2. Anterior belly of digastric
3. Risorius
4. Procerus

Correct answer: 2. Anterior belly of digastric

Explanation: (B) Anterior belly of digastric > Anterior belly of digastric is supplied by Mylohyoid branch of Inferior alveolar nerve & Posterior belly is supplied by Facial nerve# Nerve supply of digastric Muscle:> Digastric muscle has 2 bellies, united by an intermediate tendon with 2 different nerve supply. Anterior belly of digastric muscle is supplied by mylohyoid nerve. Posterior belly of digastric muscle is supplied by facial nerve.